Glucose in renal tubules reabsorbed and is transported through the following mechanism:
1. Na anteport
2. Na cotransport
3. K anteport
4. K symport

Correct answer: 2. Na cotransport

Explanation: Glucose reabsorption in the kidneys is similar to glucose reabsorption in the intestine. Glucose and Na+ bind to the sodium-dependent glucose transporter (SGLT) 2 in the apical membrane, and glucose is carried into the cell as Na+ moves down its electrical and chemical gradient. The Na+ is then pumped out of the cell into the interstitium, and the glucose exits by facilitated diffusion glucose transporter (GLUT) 2 into the interstitial fluid. Ref: Barrett K.E., Barman S.M., Boitano S., Brooks H.L. (2012). Chapter 37. Renal Function & Micturition. In K.E. Barrett, S.M. Barman, S. Boitano, H.L. Brooks (Eds), Ganong's Review of Medical Physiology, 24e.